The important fatty acid present in breast milk which is important for growth is -
1. Docosahexaenoeic acid
2. Palmitic acid
3. Linoleic acid
4. Linolenic acid

Correct answer: 1. Docosahexaenoeic acid

Explanation: Ans. is 'a' i.e. Docosahexaenoeis acid o Up to 5-10% of fatty acids in human milk are polyunsaturated. Most of these are linoleic acid with smaller amounts of linolenic acid. o Linoleic acid --> gives rise to Arachdonic acid o Linolenic acid ---> gives rise to Docosahexaenoeic acid o Docosahexaenoeic acid is found in human milk and brain lipids and is required for the development of our nervous system and visual abilities during the first six months of life. o Lack of sufficient Docosahexaenoeic acid may be associated with impaired mental and visual functioning as well as attention deficit hyperactivity disorder.